All are features of Parkinson's disease, except-
1. Resting tremors
2. Brady or hypokinesia
3. Rigidity
4. Preserved postural reflexes

Correct answer: 4. Preserved postural reflexes